Characteristic feature of primary aldosteronism is -
1. Low serum sodium
2. High plasma renin
3. Low serum potassium
4. High serum creatinine

Correct answer: 3. Low serum potassium

Explanation: hyper secretion of aldosterone increases renal distal tubular exchange of intra tubular sodium for secreted potassium and hydrogen ions, with progressive depletion of body potassium resulting in hypokalemia ( Harrison 17 pg 2260)